Which drugs show coronary steal phenomenon?
1. Dipyridamole
2. Nitrates
3. Nifedipine
4. Nicorandil

Correct answer: 1. Dipyridamole

Explanation: Isoflurane, dipyridamole produce coronary steal phenomenon in which blood is deviated from ischemic area to non-ischemic area-stealing the mail pool of blood in needy area. ref. HL Sharma 3rd ed.